A male 45 years old presents to the dental clinic with pain in lower back tooth region. Intraoral examination reveals carious 36. Root canal treatment done and Zirconia crown has to be placed. Dentist makes an impression with polysulfide impression material.
This material has the working time(in minutes):
1. 7-Apr
2. 2.5 - 4
3. 4-Feb
4. 3

Correct answer: 1. 7-Apr

Explanation: Key concept: Polysulfides have the longest working time of the elastomeric impression materials i.e. 4-7 minutes.
Comparative Properties of Elastomeric Impression Materials